Which of the following laryngeal cartilage is hyaline?
1. Epiglottis
2. Comiculate
3. Cricoid
4. Cuneiform

Correct answer: 3. Cricoid

Explanation: Ans. is 'c' i.e., Cricoid Hyaline cartilages Elastic cartilages (do not ossify) Thyroid cartilage Epioglottis Cricoid cartilage Corniculate Basal part of arytenoid cartilage Cuneiform Processes of arytenoid